All of the following statements about Lymphoepethelioma of the parotid gland are true, except:
1. Parotid gland is the most common site of Lymphoepethelioma in the Head & Neck region
2. It is associated with EBV infection
3. It is highly radiosensitive malignancy
4. It is a squamous cell carcinoma

Correct answer: 1. Parotid gland is the most common site of Lymphoepethelioma in the Head & Neck region

Explanation: Lymphoepithelioma occur chiefly in the nasopharynx of young or middle aged persons. It also seen in the oropharynx, tongue, tonsil, parotid, nasal chamber and paranasal sinus. Ref: Shafer'S Textbook of Oral Pathology By Rajendran, 6th Edition, Pages 119-120; Epstein-Barr Virus By Erle S. Robertson, Page 60